Single stranded RNA with segmented genes is found in ?
1. Influenza
2. Rotavirus
3. Reovirus
4. Measles virus

Correct answer: 1. Influenza

Explanation: Ans. is 'a' i.e., Influenza Some viruses have segmented nucleic acid (genome). These are (Mnemonic BORA) :? 1) Bunyaviridae : 3 segments of single stranded RNA. 2) Orthomyxoviridae (influenza) : 8 segments of single stranded RNA. 3) Reoviridae (rotavirus, reovirus) : 10-12 segments of double stranded RNA. 4) Arenaviridae : 2 segments of single stranded RNA.